Drug used to perform stress ECHO ?
1. Thallium
2. Dobutamine
3. Adrenaline
4. Adenosine

Correct answer: 2. Dobutamine